Case-control studies are used for -
1. Study of common diseases
2. Finding multiple risk factors
3. Finding incidence rates
4. Finding relative risk

Correct answer: 2. Finding multiple risk factors